The lacrimal duct open at the
1. Superior turbinate
2. Middle meatus
3. Inferior meatus
4. None of the above

Correct answer: 3. Inferior meatus

Explanation: *Nasolacrimal duct is a membranous passage of 18mm long. *It begins at the lower end of lacrimal sac, runs downwards, backward and laterally, and opens into the inferior meatus of nose. *A fold of mucous membrane called the valve of Hasner forms an imperfect valve at the lower end of the duct. Ref: BDC. vol3,sixth edition pg 76.